A cohort study is -
1. An analytical study
2. A descriptive study
3. A corelational trail
4. An experimental study

Correct answer: 1. An analytical study

Explanation: Cohort study is also known as incidence study. The cohorts are identified prior to the appearance of disease under investigation. The study group so defined are observed over a period of time to determine the frequency of disease among them Ref: 25th edition, Park's Textbook of Preventive and Social Medicine, Page no. 83